Drug of choice for treatment of infestation due to Onchocerca volvolus is :
1. Albendazole
2. Ivermectin
3. Praziquantel
4. Suramin

Correct answer: 2. Ivermectin